Which of the following is not true about Berger's disease?
1. The pathological changes are proliferative and usually confined to mesangial cells
2. Hematuria may be gross or microscopic
3. On immunofluorescence deposits contain with IgA and IgG
4. Absence of associated proteinuria is pathognomic

Correct answer: 4. Absence of associated proteinuria is pathognomic

Explanation: Berger's disease (IgA nephropathy) Frequent cause of gross or microscopic hematuria. Mild proteinuria is frequently present Occassionally nephrotic syndrome may develop.